Brain death indicated by suppression of reflexes all except-
1. Oculovestibular
2. Corneal
3. Pharyngeal
4. Patellar tendon

Correct answer: 4. Patellar tendon

Explanation: Irreversible coma with abolition of CNS activity in brain death is evidenced by absence of pupillary, corneal,oculovestibular and pharyngeal reflexes